Which of the following is not an H2 blocker -
1. Cimetidine
2. Oxyphenonium
3. Roxatidine
4. Ranitidine

Correct answer: 2. Oxyphenonium

Explanation: Ans. is 'b' i.e., Oxyphenonium Drugs for peptic ulcer1. Reduce gastric acid secretiona) H2 antihistaminic - Cimetidine, Ranitidine, Famotidine, Roxatidine.b) Proton pump inhibitors - Omeprazole, Lansoprazole, Pantoprazole, Rabeprazole, Esomeprazole.c) Anticholinergics - Pirenzepine, propantheline, oxyphenonium,d) Prostaglandin analogue - Misoprostol, enprostil, rioprostil.2. Neutralization of gastric acid (antacids)a) Systemic - Sodium bicarbonate, sodium citrate.b) Non systemic - Magnesium hydroxide, Mag. trisilicate, aluminium hydroxide, Magaldrate, calcium carbonate.3. Ulcer protectives Sucralfate, colloidal bismuth subcitrate, Prostaglandin analogue.4. Anti H. pylori durgs Amoxicillin, clarithromycin, metronidazole, Tinidazole, tetracycline.Note - PG analogue have both antisecretory (| HC1 secretion) as well as cytoprotective action.